True regarding MMR vaccine are all of the following except -
1. May lead to fever & rash in vaccinated population
2. It is a live vaccine
3. MMR can be given to pregnant females
4. Jeryl lynn strain has the lowest incidence of post vaccine aseptic meningitis

Correct answer: 3. MMR can be given to pregnant females

Explanation: Option (1) - True - Adverse events from MMR vaccine include fever (usually 6-12 days following vaccination), rash in 5% of vaccinated persons, arthralgia, aseptic meningitis, lymphadenopathy Option (2) - True - MMR is a live vaccine Option (3) - False - All live vaccines except yellow fever vaccine are contraindicated in pregnant women Option (4) - True -Evidence shows that aseptic meningitis is a/w all mumps vaccine strains except the Jerryl Lynn strain.